Budd Chiari syndrome is due to thrombosis of -
1. Infra renal IVC
2. Renal part of IVC
3. Superior mesentric vein thrombosis
4. Hepatic veins

Correct answer: 4. Hepatic veins